Patient came to eye OPD with recurrent chalazion. Which of the following type of cancer to be excluded in these patients
1. Basal cell carcinoma
2. Sebaceous cell carcinoma
3. Malignant melanoma
4. Squamous cell carcinoma

Correct answer: 2. Sebaceous cell carcinoma

Explanation: *Sebaceous cell carcinoma has to be excluded in recurrent chalazion Sebaceous Cell Carcinoma SEBACEOUS CELL CARCINOMA * R/F: Recurrent chalazion, seborrheic blepharitis, Muir Torre Syndrome * Presentation: Painless, indurated mass with loss of lid architecture and madarosis Other 3 options are not associated with recurrent chalazion.